AIDS involves -
1. T-helper cells
2. T-suppressor cells
3. T-cytotoxic
4. B. Cells

Correct answer: 1. T-helper cells

Explanation: The receptor for tge virus is the CD4 antigen and therefore the virus may infect any cell bearing the CD4 antigen on the surface.This is primarily the CD4 T lymphocytes. REF:ANANTHANARAYAN AND PANIKER'S TEXTBOOK OF MICROBIOLOGY 9TH EDITION PAGE NO-574